Dislocation of lens is seen in –
1. Trachoma
2. Diabetes mellitus
3. Homocystinuria
4. Turner's syndrome

Correct answer: 3. Homocystinuria

Explanation: Homocystinuria can cause dislocation of lens.